In TCA cycle, citrate is converted into cis-aconitate by which mechanism?
1. Loss of H+
2. Loss of phosphate
3. Loss of H2O molecule
4. Loss of carbon dioxide molecule

Correct answer: 3. Loss of H2O molecule

Explanation: 2nd Step: Formation of Isocitrate, Citrate is isomerized to isocitrate by aconitase (Step 2, Fig.18.2). This reaction is a two-step process. At first, one water molecule is removed from citrate forming cis aconitate; a transient compound with a very short half-life. Immediately, one water molecule is added to aconitate to form isocitrate. Thus the position of the hydroxyl group is shifted.Ref: DM Vasudevan, 7th edition